Left cardiac border bulge can be seen in all, except -
1. Enlarged azygous vein
2. Left appendicular overgrowth
3. Coronary artery aneurysm
4. Pericardial defect

Correct answer: 1. Enlarged azygous vein

Explanation: Azygous vein is a Right sided structureand all others are left sided.It lies in thr angle between the right main bronchus and trachea and size is<10mm diameter on erect X-ray.